40 years male with spherophakia is at risk for developing-
1. Phacolytic glaucoma
2. Phacoanaphylactic glaucoma
3. Phacomorphic glaucoma
4. None of the above

Correct answer: 3. Phacomorphic glaucoma

Explanation: Anterior subluxation or dislocation of lens and spherophakia (congenital small spherical lens )are causes of phacotopic (a variant of phacomorphic) glaucoma.Ref:Comprehensive ophthalmology-AK Khurana 6th edition chapter-10 page no:248 Ref:Comprehensive ophthalmology-AK Khurana 6th edition chapter-10 page no:248